Moderately increased risk of invasive Breast carcinoma is associated with which of the following benign lesions of the breast:
1. Sclerosing Adenosis
2. Atypical lobular hyperplasia
3. Apocrine metaplasia
4. Squamous metaplasia

Correct answer: 2. Atypical lobular hyperplasia